Which element is present in Glutathione peroxidase?
1. Selenium
2. Zinc
3. Magnesium
4. Copper

Correct answer: 1. Selenium

Explanation: Ans. is 'a' i.e., Selenium* Selenium would be the mineral most specifically related to antioxidant function.* There are at least 35 antioxidant Se proteins and include selenoprotein P, five glutathione peroxidases and three thioredoxin reductases (TrXRl). Most recent research indicates TrXRl reduces harmful ROS and facilitates gene expression of other cytoprotective antioxidants* Selenium as part of glutathione peroxidase (GSH-Px) is the 2nd line of defense as the enzyme destroys peroxides and hydroperoxides.* Apart from selenium, Mn, Cu, Zn, Fe help to maintain the efficient levels of endogenous antioxidants in the tissues.